A 30 year old man came at the outpatient department because he had suddenly developed double vision. On examination it was found that his right eye, when at rest was turned medially. The most likely anatomical structures involved are:
1. Medial rectus and superior division of oculomotor nerve
2. Inferior oblique and inferior division of oculomotor nerve
3. Lateral rectus and abducent nerve
4. Superior rectus and trochlear nerve

Correct answer: 3. Lateral rectus and abducent nerve

Explanation: Ans. Lateral rectus and abducent nerve